All of the following predispose to gastric carcinoma except
1. Achlorhydria
2. 'O'blood group
3. Pernicious anaemia
4. Post gastrectomy

Correct answer: 2. 'O'blood group